The strength attained by amalgam within 8 hours is
1. 60%
2. 70%
3. 80%
4. 90%

Correct answer: 2. 70%

Explanation: The strength attained by amalgam within 8 hours is 70%.
Reference: Phillip’s Science of Dental Materials, Pg-353